Chvostek/Weiss sign seen in which poisoning
1. Oxalic acid poisoning
2. Carbolic acid poisoning
3. Boric acid poisoning
4. Formic acid poisoning

Correct answer: 1. Oxalic acid poisoning

Explanation: acute poisoning. the patient may suffer from tingling and paresthesia, intermittent cramps and carpopedal spasm due to hyperirritability of peripheral nerves(Chvostek/Weiss sign) as a result of hypocalcemia. Patient may go into stupor, coma, and death may be due to respiratory failure. Ref: FORENSIC MEDICINE AND TOXICOLOGY Dr PC IGNATIUS THIRD EDITION PAGE 412